Most common ASD is ?
1. Ostium primum
2. Patent foramen ovale
3. Ostium secondum
4. Sinus venosus

Correct answer: 3. Ostium secondum

Explanation: Ans. is 'c' i.e., Osteum secondum ASD can occur in any portion of atrial septum - Secundum Primum Sinus venosus Absent atrial septum (leads to single atrium) Ostium secondum defect Defect in region of fossa ovalis Most common form of ASD